Type I MEN involves all, except:
1. Pancreas
2. Adrenal
3. Pituitary
4. Parathyroid

Correct answer: 2. Adrenal

Explanation: Answer is B (Adrenal): Adrenal Tumors are not a characteristic feature of MEN-I Syndrome. Tumors of Parathyroid, Pituitary and Pancreatic Islets constitute the characteristic triad in MEN-I. The involvement of adrenal gland (adrenal cortical hyperplasia) is rare/uncommon in Multiple Endocrine Neoplasm Type-I (MEN-I)